All of the following statements are true except?
1. Microglial cells are modified macrophages in Brain
2. Hofbauer cells are modified macrophages in placenta
3. Stellate cells are modified macrophages in Liver
4. Osteoclasts are modified macrophages

Correct answer: 3. Stellate cells are modified macrophages in Liver

Explanation: Kupffer cells are modified macrophages in Liver.